A 54-year-old man presents after a syncopal episode. The patient has no recollection of the event; according to bystanders, he awakened about 45 seconds after he "fell out." The patient has a history of bipolar disorder managed with quetiapine. He recently had an episode of prostatitis treated with ciprofloxacin. His other medications include lisinopril and hydrochlorothiazide (HCTZ) for hypertension and cyclobenzaprine and a hydrocodone/acetaminophen combination pill for low back pain. On examination, the patient is alert and oriented. Neurological examination is nonfocal. Cardiac examination is unremarkable, without murmur, gallop, or jugular distention. ECG shows nonspecific ST and T wave changes and a prolonged QT interval (QTc of 540 milliseconds). What is the best initial management approach?
1. Admit the patient for telemetry, check serum electrolytes including potassium and magnesium levels, and withhold all medications
2. Admit for permanent implantable cardioverter-defibrillator (ICD)
3. Admit and begin amiodarone infusion
4. Refer for genetic counseling

Correct answer: 1. Admit the patient for telemetry, check serum electrolytes including potassium and magnesium levels, and withhold all medications

Explanation: This patient's ECG reveals significant QT prolongation (QTc>460mm). The syncopal episode was likely related to polymorphic ventricular tachycardia (VT) (torsades de pointes). Both quetiapine and ciprofloxacin can prolong the QT interval; in combination with possible hypokalemia and hypomagnesemia from HCTZ, this could have caused life-threatening polymorphic VT. The patient should be admitted for telemetry, and any electrolyte abnormality promptly treated. If the patient's QT remains prolonged, beta-blockers can be started and the patient can be assessed for ICD placement.An ICD is indicated in patients with symptomatic sustained (>30 seconds) ventricular tachycardia and in patients at high risk of sudden cardiac death (especially patients who have symptomatic heart failure and LVEF under 35%). ICD implantation would be premature in this patient until reversible abnormalities are corrected. Amiodarone is a class III antiarrhythmic that blocks cardiac potassium channels. It is used to treat ventricular fibrillation and sustained monomorphic VT but is less effective than IV magnesium and beta-blockers in polymorphic VT. Genetic counseling would be considered if the patient is found to have hypertrophic cardiomyopathy or one of the congenital prolonged QT syndromes. Coronary angiography is not indicated unless noninvasive testing suggests underlying CAD.